Which of the following is a direct content of the cavernous sinus?
1. Ophthalmic division of trigeminal nerve
2. Trochlear nerve
3. Abducent nerve
4. Occulomotor nerve

Correct answer: 3. Abducent nerve

Explanation: Structures passing through the medial aspect of the sinus: 1. Internal carotid artery with the venous and sympathetic plexus around it. 2. Abducent nerve: inferolateral to the internal carotid artery The structures in the infra lateral wall and on the Lasseter medial aspect of the sinus are separated from blood, by the warty, endothelial lining. Ref.BDC volume 3;sixth edition pg 193